Endolymph is rich in -
1. Na+
2. Cl-
3. HCO-3
4. K+

Correct answer: 4. K+

Explanation: Ans. is 'c' i.e., K+ Fluid in inner earo There are two main fluids in the inner ear : -(i) Perilymph (ii) EndolymphPerilympho It resembles ECF and is rich in Naf ions. It fills the space between bony and the membranous labyrinth, i.e.,Scala vestibuli and scala tympani. It communicates with CSF through the aqueduct of Cochlea which opens into the scala tympani near the round window. Therefore It closely resembles CSF. It is formed by : -It is a liberate of blood serum and is formed by capillaries of the spiral ligament.It is a direct continuation of CSF and reaches the labyrinth via aqueduct of cochlea.Endolympho It fills the entire membranous labyrinth including scala media (cochlear duct). It resembles intracellular fluid, being rich in K' ions. It is secreted by the secretory cells of the stria vascularis of the cochlea and by the dark cells (present in the utricle and near the ampul fated ends of semicircular ducts).